All of the filarial worms are found in blood except ?
1. W. bancrofti
2. B. malayi
3. L. Loa
4. 0. volvulus

Correct answer: 4. 0. volvulus

Explanation: Ans. is'd' i.e., 0. volvulus Showing differential characters of the microfilaria of different of filarial worms Character W. bancrofti B. malayi L. loa M. perstans M. ozzardi M. treptocerca 0. volvulus Found in Blood Blood Blood Blood Blood, skin Skin Skin Periodicity in blood Periodic (Nocturnal) Periodic (Nocturnal) Periodic (Diurnal) Non-periodic Non-periodic Not applicable Not applicable Sheath Sheathed Sheathed Sheathed Unsheathed Unsheathed Unsheathed Unsheathed Size ( m) 275 to 300 x 200 to 275 x 250 to 300 x 150 to 200 x 4 150 to 200 x 4 180 to 240 x 5 240 to 360 x length x diameter 8 to 10 5 to 6 8 to 10 5 to 9 Body curves Regular, smooth Irregular, twisted Irregular, twisted Regular, often forms loops Regular, slight- ly twisted Tail usually curved Regular, sli? ghtly twisted Cephalic space Small (length and breadth equal) Large (almost twice as long as broad) Large Large Large Large Large and bulbous Body nuclei Coarse, well separated Coarse, tend to overlap Coarse, tend to overlap Medium sized, tend to overlap Fine, mostly separated Fine, mostly separated Coarse, mostly separated Tail end No nuclei, pointed tip 2 widely-spaced nuclei, blunt tip Nuclei present rounded tip Nuclei present, rounded tip No nuclei, pointed tip Nuclei present, cruved tip No nuclei, unded tip